The ideal time for Quinsy surgery after acute tonsillitis is
1. 2 weeks
2. 4 weeks
3. 6 weeks
4. 12 weeks

Correct answer: 3. 6 weeks

Explanation: Tonsillectomy is usually advised 6 weeks after the quinsy attack (Interval tonsillectomy)Hot tonsillectomy- Tonsillectomy during the active abscess stageIn Quinsy, pus collects lateral to the capsule of the tonsil, in the peritonsillar space containing loose areolar tissueRef: Hazarika; 3rd ed; Pg 487